A patient with oral cancer involving mandible is managed by:
1. Chemotherapy alone
2. Radiotherapy alone
3. Resection followed by radiotherapy
4. Radiotherapy followed by resection

Correct answer: 3. Resection followed by radiotherapy

Explanation: When ever Mandible is involved, resection is done before radiotherapy. If radiotherapy is given first it can lead to radionecrosis of Mandible.